The Ames test is a method for detecting
1. Carcinogenesis in rodents
2. Carcinogenesis in primates
3. Teratogenesis in any mammalian species
4. Mutagenesis in bacteria

Correct answer: 4. Mutagenesis in bacteria

Explanation: Mutagenesis in bacteria The Ames test is carried out in Salmonella and detects mutations in the bacterial DNA. Because mutagenic potential is associated with carcinogenic risk for many chemicals, the Ames test is often used to claim that a particular agent may be a carcinogen. However, the test itself only detects mutations.